Muscle not supplied by Lateral plantar nerve
1. Abductor digiti minimi
2. Adductor Halluis
3. 1st Lumbrical
4. Flexor digitorum accesorious

Correct answer: 3. 1st Lumbrical

Explanation: 1st lumbrical is supplied by Medial plantar Nerve. Rest 3 lumbricals are supplied by Lateral plantar nerve.